All are TRUE about Goodpasture's syndrome, EXCEPT:
1. Appears in two age groups: in men in their late 40s and in men and women in their 20s
2. Disease in the younger age group is usually explosive
3. Hemoptysis is largely confined to smokers, and those who present with lung hemorrhage do better than older populations
4. The performance of an urgent kidney biopsy is mandatory

Correct answer: 1. Appears in two age groups: in men in their late 40s and in men and women in their 20s

Explanation: Goodpasture's syndrome appears in young men in their late 20s and in men and women in their 60-70s. Hemoptysis is largely confined to smokers. The patients present with lung hemorrhage as a group do better than older populations who have prolonged, asymptomatic renal injury. The performance of an urgent kidney biopsy is important in suspected cases of Goodpasture's syndrome. Ref: Harrisons Principles of Internal Medicine, 18th Edition, Page 2342